Vectors for Plague transmission
1. X. cheopis
2. X. astia
3. Pulex irritans
4. All of the above

Correct answer: 4. All of the above

Explanation: The commonest and the most efficient vector of plague is the rat flea , X. cheopis, but other fleas may also transmit the infection, e.g., X. astia, X. brasiliensis and Pulex irritans(human flea). Both sexes of the flea bite and transmit the disease. Ref: Pg No:320;park Textbook ,25th Edition